The term diphydont means:
1. Second dentition
2. Two same sets of dentition
3. Two separate sets of dentition
4. More than two sets of dentition

Correct answer: 3. Two separate sets of dentition